Involuntary contraction of a single motor unit is known as
1. Fibrillation
2. Fasciculation
3. Tics
4. Spasm

Correct answer: 2. Fasciculation

Explanation: Fasciculation : It is involuntary contraction of a single motor unit. It is visible grossly.
Fibrillation : It is spontaneous, repititive contraction of a single muscle fibre. It is not visible grossly.